A child has a history of recurrent infections with organisms having polysaccharide antigens (i.e., Streptococcus pneumoniae and Haemophilus influenzae). This susceptibility can be explained by a deficiency of ?
1. C3 nephritic factor
2. C5
3. IgG subclass 2
4. Myeloperoxidase in phagocytic cells

Correct answer: 3. IgG subclass 2

Explanation: IgG is the predominant antibody in the secondary immune response. IgG subclass 2 is directed against polysaccharide antigens and is involved in the host defense against encapsulated bacteria. C3 nephritic factor is an IgG autoantibody that binds to C3 convertase, making it resistant to inactivation. This leads to persistently low serum complement levels and is associated with Type II membranoproliferative glomerulonephritis. C5 is a component of the complement system. C5a is an anaphylatoxin that affects vasodilatation in acute inflammation. It is also chemotactic for neutrophils and monocytes and increases the expression of adhesion molecules. A deficiency of C5a would affect the acute inflammatory response against any microorganism or foreign substance. Myeloperoxidase in phagocytic cells is an element of the oxygen-dependent pathway present in phagocytic cells that effectively kills bacterial cells. The hydrogen peroxide-halide complex is considered the most efficient bactericidal system in neutrophils. Chronic granulomatous disease is associated with a deficiency of NADPH oxidase, which converts molecular oxygen to superoxide (the first step in the myeloperoxidase system). Patients are susceptible to granulomatous infections and staphylococcal infections. Ref: Brooks G.F., Carroll K.C., Butel J.S., Morse S.A., Mietzner T.A. (2013). Chapter 8. Immunology. In G.F. Brooks, K.C. Carroll, J.S. Butel, S.A. Morse, T.A. Mietzner (Eds), Jawetz, Melnick, & Adelberg's Medical Microbiology, 26e.